Engagement of fetal head is with reference to:
1. Biparietal diameter
2. Bitemporal diameter
3. Occipitofrontal diameter
4. Suboccipitofrontal diameter

Correct answer: 1. Biparietal diameter

Explanation: Ans. is a, i.e. Biparietal diameterEngagement is said to occur when the largest transverse diameter of fetal head crosses the pelvic inlet.Largest transverse diameter of fetal head is: Biparietal diameter.